Periodontal pocket wall between tooth and bone is
1. Supra bony pocket
2. Intra bony pocket
3. Gingival pocket
4. Pseudo pocket

Correct answer: 2. Intra bony pocket